Acrodermatitis enteropathica is caused by deficiency of?
1. Copper
2. Zinc
3. Magnesium
4. Selenium

Correct answer: 2. Zinc

Explanation: ANSWER: (B) ZincREF: Rook's 8th ed p. 59.73Indirect repeat Dermatology June 2011